In a patient with gouty arthritis, synovial fluid aspiration will show-
1. Needle shaped crystals
2. Rhomboid shaped crystals
3. Mononuclear leucocytosis
4. Polymorphonuclear leukocytosis

Correct answer: 1. Needle shaped crystals

Explanation: During acute gouty attacks, needle-shaped MSU crystals typically are seen both intracellularly and extracellularly . With compensated polarized light, these crystals are brightly birefringent with negative elongation. Ref - Harrisons 20e p2632